Most constant and persistent feature of Ca bladder is:
1. Increased ferquency
2. Haematuria
3. Recurrent UTI
4. Pain Abdomen

Correct answer: 2. Haematuria

Explanation: Hematuria is the presenting symptom in 85-90% of patients with bladder cancer. It may be gross or microscopic, intermittent rather than constant.
Symptoms of vesical irritability are IInd most common symptoms. These are -frequency, urgency, dysuria.
Pain (secondary to clot retention, tumor extension into retroperitoneum or ureteral obstruction or metastasis to bony pelvis) may rarely occur.